The type of Diphtheria with highest mortality is
1. Pharyngeal
2. Nasal
3. Laryngeal
4. Conjuctival

Correct answer: 3. Laryngeal

Explanation: Laryngeal diphtheria causes asphyxia due to mechanical obstruction of the respiratory passage by the pseudomembrane. Emergency tracheostomy may be necessary in such cases. Reference: Textbook of Microbiology; Anathanarayan and panicker's; 10th edition; Page no: 240